A 42 year old female patient has abnormal uterine bleeding with mild atypical hyperplasia of endometrium. The treatment of choice is :
1. Oral contraceptive pills
2. Progesterone
3. Total hysterectomy
4. Oestrogens

Correct answer: 3. Total hysterectomy

Explanation: Total hysterectomy